Bipolar staining is characteristic of -
1. Yersinia pestis
2. Proteus mirabilis
3. Pseudomonas aeruginosa
4. All of the above

Correct answer: 1. Yersinia pestis

Explanation: Option a, b, c, d Bipolar staining (safety pin appearance): with both ends densely stained and a clear central area of the bacteria. 1. Yersinia pestis 2. Vibrio parahaemolyticus 3. Calymmatobacterium (Donovania) granulomatis 4. H. Ducreyi 5. Pasteurella multocida 6. Burkholderia species